Chromophilic Renal Cell Carcinoma is associated with
1. 3p
2. Trisomy 7 and 17
3. 6q
4. t(3, 11)

Correct answer: 2. Trisomy 7 and 17